True statement regarding Pneumococcus is:
1. Virulence is due to polysaccharide capsule
2. Capsule is protein in nature
3. Antibodies against capsule are not protective
4. Resistance to penicillin has not yet been reported

Correct answer: 1. Virulence is due to polysaccharide capsule

Explanation: Ans. is 'a' i.e., Virulence is due to polysaccharide capsule* Capsular polysaccharide is the principal virulence factor, protects it from phagocytosis. Other virulence factors are toxins (pneumolysin and autolysin).